Which of the following functions is associated with the oncogenic L 'MYC' in lung cancer -
1. Protein kinase
2. GTP binding protein
3. Nuclear binding protein
4. Growth factor

Correct answer: 3. Nuclear binding protein